All are cardiac poisons except
1. Opioids
2. Digitalis
3. Oleander
4. Odollum

Correct answer: 1. Opioids

Explanation: Cardiac poisons Are digitalis, oleander, odollum, aconite, hydrocyanic acid, cleistanthus. Ref: FORENSIC MEDICINE AND TOXICOLOGY Dr PC IGNATIUS THIRD EDITION PAGE 399